In myocardial reperfusion injury, the maximum effect is caused due to which of the following?
1. Neutrophil
2. Monocytes
3. Eosinophils
4. Free radicals

Correct answer: 4. Free radicals

Explanation: Restoration of blood flow to ischemic tissues can promote recovery of cells if they are reversibly injured. However, under certain circumstances, when blood flow is restored to cells that have been ischemic but have not died, injury is paradoxically exacerbated and proceeds at an accelerated pace. This process is called ischemia-reperfusion injury. It is due to sudden influx of free radicals and Ca+2